Turn-buckle cast is used for ?
1. Fracture shaft humerus
2. Fracture shaft femur
3. Scoliosis
4. Cervical spine injury

Correct answer: 3. Scoliosis

Explanation: Ans. is 'c' i.e., Scoliosis. Name of the case Use Minerva cast Cervical spine disease Risser's cast Scoliosis Turn-buckle cast Scoliosis Shoulder spica Shoulder immobilisation U-slab Fracture of the humerus Hanging cast Fracture of the humerus Colle's cast Colles' fracture Hip spica Fracture of the femur Cylinder cast Fracture of the patella PTB cast Fracture of the tibia